An 8 year old boy with a history of fall from 10 feet height complains of pain in the right ankle. X-ray taken at that time are normal without any fracture line. But after 2 years, he developed a calcaneovalgus deformity. The diagnosis is -
1. Undiagnosed malunited fracture
2. Avascular nercrosis talus
3. Tibial epiphyseal injury
4. Ligamentous injury of ankle joint

Correct answer: 3. Tibial epiphyseal injury

Explanation: Child is presenting with pain after the injury with :-


Normal X-ray → X-rays are normal in physeal injury.
Calcaneo-valgus deformity → Angular deformity due to physeal arrest.


So, this child had developed physeal injury at the time of trauma.

About other options

Any fracture will be seen on x-ray (x-ray is normal in question).
Avascular necrosis of talus develops after fracture of neck of the talus. X-ray shows the fracture (x-ray is not normal).
Ankle ligament injury has normal X-ray, but it will not develop angular deformity.